An elderly male patient presented with fever, chest pain and dry cough. On sputum culture growth on charcol yeast extract medium was identified. The organism is likely to be which of the following?
1. H. influenza
2. Moraxella caarrhahs
3. Legionella
4. Burkholderia cepacia

Correct answer: 3. Legionella

Explanation: An elderly patient with fever, chest pain and non-productive (dry cough) are characteristic features of legionnaires disease (pneumonia), caused by Legionella pneumophila. Legionella pneumophila grows on buffered charcoal yeast agar. Hemophilus influenzae grows on blood agar, Moraxella catarrhalis grows on nutrient agar and Burkholderia cepacia needs selective media for its growth. Ref: Textbook of Microbiology, Ananthanarayan and Paniker, 7th Edition, Chapter 45, Page 409.